The most common location of hypertensive intracranial hemorrhage is:
1. Subarachnoid space
2. Basal ganglia
3. Cerebellum
4. Brainstem

Correct answer: 2. Basal ganglia

Explanation: Answer is B (Basal ganglia): The basal ganglia is the most common site of hypertensive haemorrhage The most common site of hypertensive haemorrhage within basal ganglia is the Putamen. The most common sites of hypertensive haemorrhage are : The basal ganglia (putamen, thalamus and adjacent deep white matter)- commonest Deep cerebellum Pons The most common site of hypertensive haemorrhage within basal ganglia is the Putamen. External capsule refers to a thin layer of white matter that separates the lateral part of lentiform nucleus (putamen) from claustrum and is invariably damaged along with the putamen.